Following drugs are cell wall synthesis inhibitors except?
1. Colistin
2. Fosfomycin
3. Bacitracin
4. Cycloserine

Correct answer: 1. Colistin

Explanation: Ans. is 'a' i.e., Colistin